Blistering war gas is:
1. Chlorine gas
2. Mustard gas
3. HCN gas
4. Tabun

Correct answer: 2. Mustard gas

Explanation: Ans. Mustard gas